In malaria, infective stage injected into human subjects by the mosquito is:
1. Sporozoite
2. Merozoite
3. Cryptozoite
4. Gametocyte

Correct answer: 1. Sporozoite

Explanation: Female anopheles mosquito: definitive host. Man: intermediate host. In malaria infective stage for humans is sporozoites.